Distal clearance in surgery for carcinoma rectum is-
1. 2 cm
2. 5 cm
3. 10 cm
4. 8 cm

Correct answer: 1. 2 cm